Which of the following metabolic derangement is associated with congenital pyloric stenosis?
1. Hypochloremic acidosis
2. Hypochloremic alkalosis
3. Hyperchloremic acidosis
4. Hyperchloremic alkalosis

Correct answer: 2. Hypochloremic alkalosis

Explanation: Hypochloremic metabolic alkalosis is the classic metabolic finding in congenital pyloric stenosis. Other metabolic abnormalities includes elevated hemoglobin and hematocrit due to dehydration. Congenital pyloric stenosis is commonly found in male children. Infants presents with projectile postprandial vomiting usually between 2 and 4 weeks of age but may start as late as 12 weeks. Vomiting is usually non bilious. On examination, the upper abdomen may be distended after feeding, and prominent peristaltic waves are seen from left to right. Ultrasonography shows a hypoechoic muscle ring greater than 4-mm thick with a hyperdense center and a pyloric channel length greater than 15 mm. Ref: CURRENT Diagnosis & Treatment: Pediatrics, 21e chapter 21, By Shikha S. Sundaram, MD .